The causative agent of Primary Amoebic Meningoencephalitis is:
1. Endolimax nana
2. Dientamoeba fragilis
3. Naegleria fowleri
4. Entamoeba histolytica

Correct answer: 3. Naegleria fowleri

Explanation: (C) Naegleria fowleri # Human infection of naegleria comes from water containing the amoebae and usually follows swimming or diving in ponds.> Patients are mostly previously healthy young adults and children.> The amoebae invade the nasal mucosa, pass through the olfactory nerve and initiate an acute meningitis and encephalitis (primary amoebic meningoencephalitis).